Occult thyroid malignancy with nodal metastases is seen in
1. Medullary carcinoma
2. Follicular carcinoma
3. Papillary carcinoma
4. Anaplastic carcinoma

Correct answer: 3. Papillary carcinoma